Type Ad curve is seen in -
1. Eustachian tube obstruction
2. After stapedectomy
3. Middle ear tumours
4. Secretory otitis media

Correct answer: 2. After stapedectomy

Explanation: Ans. is 'b' i.e., After stapedectomy